Which one of the following is true of adrenal suppression due to steroid therapy -
1. It is not associated with atrophy of the adrenal glands
2. It does not occur in patients receiving inhaled steroids
3. It should be expected in anyone receiving > 5 mg, prednisolone daily
4. Following cessation, the stress response normalizes after 8 weeks

Correct answer: 3. It should be expected in anyone receiving > 5 mg, prednisolone daily

Explanation: Ans. is 'c' i.e., It should be expected in anyone receiving > 5mg, prednisone daily o Any patient who has received > 20-25 mg/day hydrocortisone or equivalent for longer than 2-3 weeks should be put on a scheme of gradual withdrawl because of suppression of hypothalamic - pitutary-adrenal axis. o 20 mg hydrocortisone is equivalent to 5 mg of Prednisolone. So 5 mg prednisolone (or 20-25 mg hydrocortisone) causes hypothalmo-pitutary-adrenal axis suppression. About others options o There is atrophy of adrenal cortex o Inhaled steroids can also cause adrenal suppression - Goodman & Gilman o Many patients recover from several weeks to months, however, in some indils the time to recovery can be one year or longer --> Goodman & Gilman . Measures that minimize hypothalamo - pittutary - adrenal axis suppression. Use shorter acting steroids (hydrocortisone, prednisolone) at the lowest possible dose. Use for shortest period of time. Give the entire daily dose at one time in the morning. Switch to alternate-day-therapy if possible. If possible use local preparations with poor systemic availability (beclomethasone, triamcinalone, fluticasone).